A severely injured patient with multiple injuries is brought to casualty. Primary survey done and patient is stabilized. What is the preferred investigation?
1. Whole body CT with IV contrast
2. CT head, abdomen and Xray of suspected limb fractures
3. CT head, FAST scan with Xray C-spine and Pelvis
4. CT head and neck, FAST scan chest and pelvis Xray

Correct answer: 1. Whole body CT with IV contrast

Explanation: Computed tomography(CT) from the head to pelvis with IV contrast, the so called 'whole body CT' (WBCT) is the gold standard investigation in patients with signs or symptoms of multiple injury or deranged physiology.There is no role for scanning selective bodysystems in the severely injured trauma patient. Wherever possible,WBCT should be performed as soon as possible during the patient's resuscitation. A provisional 'hot report' can be issued within minutes to identify immediate life-threatening pathology to the trauma team. A more detailed definitive report should be available within 30-60 minutes.Bailey and love 27e 324